Normal myeloid ehyroid ratio is -
1. 2:01
2. 1:01
3. 3:01
4. 4:01

Correct answer: 3. 3:01

Explanation: Ans. is 'c' i.e., 3 : 1